Chromosomal translocation characteristic in acute promyelocytic leukemia is
1. + (15;17)
2. + (22;9)
3. + (21;17)
4. + (8;21)

Correct answer: 1. + (15;17)

Explanation: In AML with the + (15;17) acute promyelocytic Leukemia (M3 stage), auer rods present (most common stage associated with DIC).
+ (8;21) AML with maturation stage (M2 Stage)
+ (16;16) associated with best prognosis.